Mebendazole cannot be used for :
1. Ascariasis
2. Entrobius vermicularis
3. Onchocercosis
4. Hydatid cyst disease

Correct answer: 3. Onchocercosis